Post-splenectomy, the following infection is not common :
1. Pneumococcus
2. Disseminated herpes zoster
3. H. influenzae
4. Salmonella

Correct answer: 2. Disseminated herpes zoster

Explanation: Life-threatening infection in the asplenic patient is attributable to three factors: loss of splenic macrophages, diminished tuftsin production, and loss of the spleen's reticuloendothelial screening function. In the normal host, these three factors work in concert to eliminate opsonized bacteria from the bloodstream. This system is particularly suited to the removal of encapsulated bacteria, whose polysaccharide coating is a natural defense against opsonization (S. pneumoniae, H. influenzae, Pneumococcus and Neisseria meningitidis are classic examples). Infections with protozoa that invade the red blood cell, such as Babesia microti (transmitted by tick bites), Ehrlichia, and Plasmodium, occur more frequently in splenectomized individuals than in normal hosts. Other potential infectious bacterial sources include group A streptococci, Capnocytophaga canimorsus (transmitted by dog bites), group B streptococci, Enterococcus species, Bacteroides species, Salmonella species, and Bartonella species. Ref : Park A.E., Godinez C.D. (2010). Chapter 34. Spleen. In T.R. Billiar, D.L. Dunn (Eds), Schwartz's Principles of Surgery, 9e.